Highest concentration of potassium is seen in:
1. Jejunum
2. Ileum
3. Duodenal
4. Sigmoid colon

Correct answer: 4. Sigmoid colon

Explanation: Ans. (d) Sigmoid colonRef: Schwartz 10/e p69* Highest concentration of potassium seen in Colon (30mEq/L).* Highest absorption of potassium occurs in colon